A female of 35yrs old that has completed her family is having asymptomatic 10 weeks size fibroid . The most appropriate management is
1. Observation only
2. Hysterectomy with bilateral salpingoophorectomy
3. Hysteroscopic myomectomy
4. Myomectomy

Correct answer: 1. Observation only

Explanation: Indications of hysterectomy : It's called removal of uterus .is indicated in a woman over 40years of age.multiparous woman or when associated with malignancy uncontrolled haemorrhage and unforeseen surgical difficulties during myomectomy for the above case given observation and myomectomy may be appropriate for management However in these conditions hysterectomy should be performed at any cost Abdominal benign: Menorrhagia Uterine fibromyoma Adenomyosis Tubo ovarian mass Carcinoma insitu Atypical endometrial hyperplasia Endometriosis malignancy: Ca.of cervix Ca.of endometrium Ca.ovary Uterine sarcoma mixed mesodermal tumor Choriocarcinoma Obstetric: Rupture of uterus pPH ,molar pregnancy Ca.cervix vaginal: Prolapse Ca.insitu Ca.cervix+ lymphadenectomy Menorrhagia uterine fibroid Genital prolapse In case of asymptomatic condition, wait and watch is the correct option... Following every year with scans to check the size of fibroid Ref Shaw 16/e pg 405,406